A 5 year old female patient complains of pain and bleeding in  upper front teeth region and gives a history of fall while playing 30 minutes ago. Patient brought the avulsed tooth in milk. Intra-oral examination reveals bleeding and avulsion of maxillary right central incisor. What would be the appropriate management for this patient?
1. Immediate repositioning with stabilization
2. Bleeding control and pain management without replantation
3. Replantation and endodontic intervention
4. If repositioning is not possible, place the tooth in a suitable storage medium

Correct answer: 2. Bleeding control and pain management without replantation

Explanation: If a parent calls to report that a tooth has been avulsed, and it can be determined that the injury is without other oral,  neurologic,  or  higher-priority  physical  complications, the dentist may instruct the parent to do the following (primary teeth should not be replanted):    
 1.   Keep the patient calm.
 2.   Find the tooth and pick it up by the crown (the white part). Avoid touching the root.
 3.   If the tooth is dirty, wash it briefly (10 seconds) under cold running water and reposition it. Try to encourage the patient/parent to replant the tooth. Bite on a handkerchief to hold the tooth in position.
 4.   If repositioning is not possible, place the tooth in a suitable storage medium.
 5.   Seek emergency dental treatment immediately, unless the patient was knocked unconscious. If the child was unconscious for a period of time, first seek emergency medical evaluation for a concussion.